Which of the following are the clinical abnormalities of uremia?
1. Hyperphosphatemia
2. Uremic frost
3. Peptic ulcer
4. All the above

Correct answer: 4. All the above

Explanation: Ans. is 'd' i.e., All the aboveClinical abnormalities in uremiaFluid and electrolyte disturbances* Volume expasion (I)* Hyponatremia (I)* Hyperkalemia (I)* Hyperphosphatemia (I)Endocrine-metabolic disturbances * Secondary hyperparathyroidism (I or P)* Adynamic bone (D)* Vitamin D-deficient osteomalacia (I)* Carbohydrate resistance (I)* Hyperuricemia (I or P)* Hypertriglyceridemia (I or P)* Increased Lp (a) level (P)* Decreased high-density lipoprotein level (P)* Protein - energy malnutrition (I or P)* Impaired growth and development (P)* Infertility and sexual dysfunction (P)* Amenorrhea (I/P)* Beta2-Microglobulin associated amyloidosis (P or D)Neuromuscular disturbances * Fatigue (I)* Sleep disorders (P)* Headache (P)* Impaired mentation (I)* Lethargy (I)* Seizures (I or P)* Muscle cramps (P or D)* Myopathy (P or D)* Asterixis (I)* Muscular irritability* Peripheral neuropathy (I or P)* Restless legs syndrome (I or P)* Myoclonus (I)* Coma (I)* Dailysis disequilibrium syndrome (D)Cardiovascular and pulmonary .disturbances * Arterial hypertension (I or P)* Congestive heart failure or pulmonary edema (I)* Hypertrophic or dilated cardiomyopathy (I, P, or D)* Pericarditis (I)* Uremic lung (I)* Accelerated atherosclerosis (P or D)* Hypotension and arrhythmias (D)* Vascular calcification (P or D)Dermatologic disturbances * Pallor (I)* Hyperpigmentation (I, P, or D)* Pruritus (P)* Ecchymoses (I)* Nephrogenic fibrosing dermopathy (D)* Uremic frost (I)Gastrointestinal disturbances * Anorexia (I)* Gastrointestinal bleeding (I, P, or D)* Nausea and vomiting (I)* Idiopathic ascites (D)* Gastroenteritis (I)* Peritonitis (D)* Peptic ulcer (I or P) Hematologic and immunologic disturbances * Anemia (I)* Increased susceptibility to infection (I or P)* Lymphocytopenia (P) Leukopenia (D)* Bleeding diathesis (I or D)* Thrombocytopenia (D)I - Denotes an abnormality that improves with therapy.P - Denotes an abnormality that tends to persist or even progress despite an optimal program.D - Denotes an abnormality that develops only after initiation of dialysis therapy.